DNA is selected for genetic information compared to RNA because
1. It is stable
2. Double stranted compared to RNA
3. Two strands are complementary
4. I has genes

Correct answer: 1. It is stable

Explanation: The presence of the oxygen atom in the 2nd carbon of RNA make it more prone to spontaneous hydrolysis DNA is much more stable, the half-life of spontaneous hydrolysis is about 200 million years The possibility of mutations occurring and remaining unidentified is more with uracil since cytosine can be easily deaminated to uracilRef: DM Vasudevan, 7th edition, page no: 576, boxes 44.1